A child presents with hepatomegaly and hypoglycemia. There is no improvement in blood sugar even after administration of epinephrine. What is the likely diagnosis?
1. Von Gierke's disease
2. Anderson's disease
3. Pompe's disease
4. Mc Ardle's disease

Correct answer: 1. Von Gierke's disease

Explanation: Epinephrine- | blood glucose level by stimulating glycogenolysis and gluconeogenesis, mediated by glucose 6 phosphatase- converts Glucose-6-phosphate to Glucose Von Gierke disease- deficiency of Glucose 6 phosphatase enzyme Hence, epinephrine is not able to increase blood glucose in a child with Von Gierke disease, but lactate levels increase.